Aseptic necrosis is common in:
1. Scaphoid
2. Calcaneum
3. Cuboid
4. Trapezium

Correct answer: 1. Scaphoid

Explanation: Ans. A: Scaphoid Fracture through the waist of the scaphoid may lead to avascular necrosis of the proximal pole of scaphoid.